The distance of gastroesophageal junction from upper incisor is
1. 15 cm
2. 25 cm
3. 40 cm
4. 60 cm

Correct answer: 3. 40 cm

Explanation: Oesophagus begins at the lower border of cricoid cartilage (at the level of C5 vertebrae)Q, passes through diaphragm at the level of T10 vertebrae and ends in the abdomen at the cardiac orifice of stomach at the level of Tn vertebrae. Its is 25 cm long.- Small aggregation of lymphoid tissue is present in submucosaQ near lower end (not mucosa) Circular muscle fibers of lower end of esophagus form physiological sphincter at cardioesophageal junction.Oesophagus don't have serous covering except over a short length near its lower end.